During moderate exercise, blood flow to brain
1. Decreases
2. Increases
3. Does not change
4. First increase, then decreases

Correct answer: 3. Does not change

Explanation: Ans. c. Does not change Exercise During exercise there is a redistribution of cardiac outputQ Blood flow to the liver, kidneys and splanchnic circulation reducesQ. The blood flow to the exercising skeletal muscles and heart increases manifoldQ The blood flow to the brain remains unchangedQ.